Best management for inhaled Foreign body in an infant
1. Tracheostomy
2. Steroids
3. Bronchoscopy
4. IPPPV

Correct answer: 3. Bronchoscopy

Explanation: Tracheal and bronchial foreign bodies can be removed by bronchoscopy with full preparation and under general anaesthesia. Emergency removal of these foreign bodies is not indicated unless there is airway obstruction or they are of the vegetable nature (e.g. seeds) and likely to swell up. Methods to remove the tracheobronchial foreign body Conventional rigid bronchoscopy. Rigid bronchoscopy with telescopic aid. Bronchoscopy with C-arm fluoroscopy. Use of Dormia basket or Fogarty's balloon for rounded objects. Tracheostomy first and then bronchoscopy through the tracheostomy. Thoracotomy and bronchotomy for peripheral foreign bodies. Flexible fibreoptic bronchoscopy in selected adult patients. Ref: PL Dhingra; Textbook of EAR, NOSE and THROAT; edition 7; page no 367